The ideal timing of radiotherapy for Wilms tumour after surgery is:
1. Within 10 days
2. Within 2 weeks
3. Within 3 weeks
4. Any time after surgery

Correct answer: 1. Within 10 days

Explanation: Radiotherapy is to be started within 10 days. Delay in starting radiotherapy for Wilms tumour can result in an increase in relapse rate